Medically most important form of UV radiation is -
1. UV-A
2. UV-B
3. UV-C
4. None of the above

Correct answer: 2. UV-B

Explanation: B i.e. UV-B